Type 2 lepra reaction occurs in:
1. Pauci bacillary leprosy
2. Multi bacillary leprosy
3. Both of the above
4. None of the above

Correct answer: 2. Multi bacillary leprosy

Explanation: There are two principal types of Lepra reactions. Type 1 and Type 2. Type 1 Lepra Reaction also known as Reversal Reaction may occur both in Pauci Bacillary (PB) and Multi Bacillary (MB) leprosy. Type 2 reaction is also known as Erythema Nodosum Leprosum (ENL) andoccurs only in MB leprosy. Ref: